Area of mitral orifice in adults is
1. 6-8 cm2
2. 0.5-2 cm2
3. 4-6 cm2
4. 1-4 cm2

Correct answer: 3. 4-6 cm2

Explanation: The normal area of aortic valve is tz, 3 - 4 cm2 and mitral valve is 4 - 6 cm2Q